All of the following are true about Sprengel's deformity except:
1. Associated with Congenital scoliosis
2. Associated with Diastematomyelia
3. High incidence with Klippel Feil syndrome
4. Associated with Dextrocardia

Correct answer: 4. Associated with Dextrocardia

Explanation: Sprengel's scapula is short and high scapula. Klippel-Feil syndrome - Fusion of cervical vertebra causing a triad of: Short neck Low posterior hair line Restricted neck movement In 50% of cases, they have short and high scapula. The scapula is attached to the vertebra by omo-vertebral band. * Sprengel's deformity is also associated with congenital scoliosis and diastemetomyelia (vertebral deformity)